Irresistible urge to drink alcohol is known as:
1. Kleptomania
2. Pyromania
3. Dipsomania
4. Trichotillomania

Correct answer: 3. Dipsomania

Explanation: Dipsomania is compulsive drinking or an irresistible urge to drink alcohol. Kleptomania: Intense urge to steal Pyromania: Intense urge to put things on fire Trichotillomania: Irresistible urge to pluck hair